A person has an injury in the forefinger with glass and it is suspected that he has a retained piece of glass in his finger. What is the first investigation you will do?
1. MRI
2. CT scan
3. Plain radiograph
4. Ultrasonography

Correct answer: 3. Plain radiograph

Explanation: Ans. c. Plain radiograph 'Plain films can be clinically beneficial in locating glass foreign bodies in deep wounds with or without exploration.' Glass Foreign Body Patients with glass embedded in a wound are more likely to report the sensation of foreign bodies. In patients with sensation of foreign body, superficial wounds that have been adequately explored do not require radiography. Plain films can be clinically beneficial in locating glass foreign bodies in deep wounds with or without explorationQ In patients without sensation, the history can guide the decision for further investigation. All glass is radiopaque; however, there is limited ability for radiography to detect glass fragments smaller than 2 mm. Glass is inert and can be left in place if it is difficult to locate or remove.